Iodine uptake is seen in following organs:
1. Ovary
2. Thyroid
3. Parathyroid
4. All

Correct answer: 2. Thyroid

Explanation: B i.e. ThyroidIodine uptake is seen in thyroid gland, salivary gland, mammary glandQ, gastric mucosa, placenta, ciliary body of eye & choroids plexus.